In a case of chest pain with pericarditis and pericardial effusion, pain is referred by?
1. Superficial cardiac plexus
2. Phrenic nerve
3. Deep cardiac plexus
4. Vagus nerve

Correct answer: 2. Phrenic nerve

Explanation: The phrenic nerve arises from the ventral rami of cervical spinal nerves C3-5 and courses down in the prevertebral fascia, in front of the anterior scalene muscle, into the thorax between the subclavian artery and vein. It provides motor innervation to the diaphragm. The fibrous and parietal pericardial are supplied by the phrenic nerve (C3-C5). They are sensitive to pain. The visceral pericardium or epicardium is supplied by autonomic nerves, not sensitive to pain.